Most anterior part of the chin is
1. Gonion
2. Pogonion
3. Menton
4. Gnathion

Correct answer: 2. Pogonion